Which is not a renal pseudotumor?
1. Fetal lobulations
2. Hypertrophied column of Bertin
3. Dromedary hump
4. Persistent calyceal impression

Correct answer: 4. Persistent calyceal impression

Explanation: Ans DA renal pseudotumour is a mass that will simulate a tumor on imaging but is composed of non-neoplastic tissue. Common such lesions are:# Prominent columns (septa) of Bertin# Persistent fetal lobulations# Dromedary hump# Splenorenal fusion# Cross-fused renal ectopia